Drugs which cause fetal renal anomalies are:
1. nifedipine
2. Frusemide
3. Losartan
4. prazosin

Correct answer: 3. Losartan

Explanation: Angiotensin antagonists: Like ACE inhibitors, losartan can cause hypotension and hyperkalemia but first dose hypotension is uncommon Losartan doesn't cause cough and dysgeusia Patients with a history of ACE inhibitor-related cough have taken losartan without recurrence. Angioedema can be seen rarely. Headache, dizziness weakness and upper g.i. side effects are mild and occasional. However, losartan has fetopathic potential like ACE inhibitors-not to be administered during pregnancy. ESSENTIALS of medical PHARMACOLOGY SIXTH EDITION-KD TRIPATHI Page:488